Most common presentation of cardiac lupus?
1. Myocarditis
2. Pericarditis
3. Aortic regurgitation
4. Libman sacks endocarditis

Correct answer: 2. Pericarditis

Explanation: Ans. is 'b' i.e., Pericarditis Cardiopulmonary involvement in SLEo Pleurisy, pericarditis, effusions.o Myocarditis, endocarditiso Lupus pneumonitiso Coronary artery disease:# Interstitial fibrosis# Pulmonaiy hypertension# Shrinking lung syndrome# ARDS, hemorrhage